Carpopedal spasm with normal serum ionic calcium level is due to:
1. Hypomagnesemia
2. Hyponatremia
3. Hypokalemia
4. Acidosis

Correct answer: 1. Hypomagnesemia

Explanation: (A) Hypomagnesemia # Hypomagnesemia is an electrolyte disturbance in which there is an abnormally low level of magnesium in the blood.> Usually a serum level less than 0.7 mmol/l is used as reference. Hypomagnesemia is not equal to magnesium deficiency.> Causes: It may result from a number of conditions including inadequate intake of magnesium, chronic diarrhea, malabsorption, alcoholism, chronic stress, diuretic use and other disorders> Clinical Features: Deficiency of magnesium causes weakness, muscle cramps, cardiac arrhythmia, increased irritability of the nervous system with tremors, athetosis, jerking, nystagmus and an extensor plantar reflex. In addition, there may be confusion, disorientation, hallucinations, depression, epileptic fits, hypertension, tachycardia and tetany.